Clinical features of pyloric stenosis in infants are all except:
1. Abdominal lump
2. Constipation
3. Weight loss
4. Metabolic acidosis

Correct answer: 4. Metabolic acidosis

Explanation: Ans. (d) Metabolic acidosisRef: Sabiston 20th Edition, Page 1869* Weight loss can occur on longstanding cases* Constipation may occur due to persistent vomiting.